True about widal test
1. Anti-O antibody persists longer
2. O antigen of S paratyphi is used.
3. H-antigen is most immunogenic.
4. Felix tube is used for H agglutination.

Correct answer: 3. H-antigen is most immunogenic.